"Oral contraceptive pills" protect against:
1. Thrombosis
2. Ovarian cancer
3. Cancer cervix
4. Hepatocellular adenoma

Correct answer: 2. Ovarian cancer